Regarding antibiotic of choice for urinary tract infection (UTI) during pregnancy at third trimester:
1. Cephalosporin
2. Quinolones
3. Aminoglycosides
4. Tetracyclines

Correct answer: 1. Cephalosporin

Explanation: Ans. is a, i.e. CephalosporinRef. Williams Obs. 23/e, p 1033, 1036UTI is the most common bacterial infections during pregnancy. Although asymptomatic bacteriuria is the most common presentation, symptomatic infection includes cystitis, or pyelonephritis.Organisms that cause urinary infections are those from the normal perineal flora.Drugs use for management of UTIAs single dose or 3 days course:-Amoxicillin-Ampicillin-Cephalosporin-Nitrofurantoin-Trimethoprim-sulfamethoxazole.In treatment failure:-Nitrofurantoin 100 mg four times daily for 21 days.For suppression for bacterial persistence or recurrence:-Nitrofurantoin 100 mg at bedtime for remainder of pregnancy.